Ig active in type 1 hypersensitivity.
1. A
2. E
3. D
4. G

Correct answer: 2. E

Explanation: Ans: b (IgE) Ref: Robbins, 7th ed, p. 205Dendritic cells + Antigen ' CD4 Helper T cells '! THL cells produce."Most of the immediate hypersensitivity reactions are mediated by IgE antibodies."Dendritic cells + Antigen - CD4 Helper T cells - THL cells produce.IL5 - stimulate Eosinophils ILA - 'Turning on' of B cellsIgE production.ILB - IgE production, mucus secretion. IgE thus produced will bind to receptors on basophils and mast cells. These cells, aimed with IgE, when re-exposed to specific allergen, leads to a series of reactions responsible for the clinical expression of type 1 hypersensitivity.The primary and secondary mediators released from mast cells are listed belowPrimary mediatorsSecondary mediatorsHistamineLeucotrienes (B4C4D4)ProteasesProstaglandins (PGD2)Chemotactic factors (C39)PAFHeparinCytokines - IL 1, 3, 4, 5, 6, TNF,GM CSF